All of the following form the boundary of MacEwen's triangle except:
1. Temporal line
2. Posterosuperior segment of bony external auditory canal
3. Promontory
4. Tangent drawn to the external auditory meatus

Correct answer: 3. Promontory

Explanation: Mastoid antrum is marked externally on the surface by suprameatal (Mac Ewen's) triangle.